Conduction in which type of fibres is maximally affected by hypoxia
1. A alpha fibres
2. C fibres
3. A delta fibres
4. B fibres

Correct answer: 4. B fibres

Explanation: Suspectibility of nerve fibres to hypoxia is B > A > C fibres